Ureter in ureteric tunnel is?
1. Medial to cervix
2. Lateral to ovarian artery
3. Inferior to uterine artery
4. Superior to uterine artery

Correct answer: 3. Inferior to uterine artery

Explanation: ANSWER: (C) Inferior to uterine arteryREF: Art of Laparoscopic Surgery Textbook and Atlas by Jaypee page 1218"The ureter passes posterior to the uterine artery through the cardinal ligament within the ureteric tunnel"The cardinal ligament (or Mackenrodt s ligament, lateral cervical ligament, or transverse cervical ligament) is a major ligament of the uterus. It is located at the base of the broad ligament of the uterus. Importantly, it contains the uterine artery and uterine vein. It may be of clinical significance in hysterectomy, due to its close proximity to the ureters, which can get damaged during ligation of the ligament.